Shelf life of platelets in blood bank is?
1. 5 days
2. 8 days
3. 10 days
4. 21 days

Correct answer: 1. 5 days

Explanation: Platelets are stored in plasma or in additive solution up to 5-7 days at 20-24degC and under permanent motion.